In a Down's syndrome patient posted for surgery, the necessary pre-operative investigation to be done is ?
1. CT Brain
2. Echocardiography
3. Ultrasound Abdomen
4. X-Ray cervical spine

Correct answer: 2. Echocardiography

Explanation: B i.e. Echocardiography Congenital heart disease (especially endocardial cuchion defects) is frequently found in Down's syndrome children.Echocardiography is therefore considered a necessary pre-operative investigation.